SI unit of radiation absorption:
1. Sievert
2. Gray
3. Becquerel
4. Rads

Correct answer: 2. Gray

Explanation: Ref: Internet SourcesExplanation:SI unit for Radiation absorption - Gray (Gy)The rad is a deprecated unit of absorbed radiation dose, defined as 1 rad = 0.01 GyThe sievert (Sv) is the International System of Units (SI) derived unit of equivalent radiation dose, effective dose, and committed dose.The gray is used with quantities of absorbed dose in any material, while the sievert is used with equivalent, effective, and committed dose in biological tissue.Becquerel (Bq) - S I Unit of radioactivityThe Curie (Ci) is a non-SI unit of radioactivityRoentgen equivalent man or 'rem' (Symbol rem) is a deprecated unit used to measure the biological effects of ionizing radiation.The rem is defined as equal to 0.01 sievert.The roentgen (R, also rontgen) is an obsolete unit of measurement for the kerma of X-rays and gamma rays up to 3 MeV.The rutherford (symbol rd) is an obsolete non SI unit of radioactivity.